Riedel's thyroiditis is associated with:
1. Hyperthyroidism
2. Retroperitoneal fibrosis
3. Hyperparathyroidism
4. Non-palpable thyroid gland

Correct answer: 2. Retroperitoneal fibrosis

Explanation: Riedel's Thyroiditis Aka Invasive Fibrous thyroiditis Characterized by complete replacement of thyroid and parathyroid glands by fibrous tissue. Associated with Retro orbital fibrosis Periorbital fibrosis Retroperitoneal fibrosis Sclerosing cholangitis Management Lifelong levothyroxine (due to permanent hypothyroidism) Lifelong calcium and Vitamin D supplementation (due to permanent hypoparathyroidism